Increased alkaline phosphatase is seen in -
1. Osteoporosis
2. Multiple myeloma
3. Paget's disease
4. Osteolytic metastasis

Correct answer: 3. Paget's disease

Explanation: Ans. is 'c' i.e., Paget's disease o Whenever the activity of osteoblasts increase, serum alkaline phosphatase is raised. Therefore, serum alkaline phosphatase acts as an index of osteoblastic activity.o The conditions in which osteoblastic activity is increased and hence the alkaline phosphatase in increased are : -i) Rickets/osteomalaciav) Paget's disease (osteitis deformans)ii) Primary hyperparathyroidismvi) Osteoblastic secondariesiii) Renal osteodystrophy (secondary hyperparathyroidism) iv) Chronic renal failure and secondary hyperparathyroidism